Urinary metabolite of progesterone
1. Pregnanolone
2. Progestriol
3. 17-HydroxyPregnanolone
4. Pregnanediol

Correct answer: 4. Pregnanediol

Explanation: Pregnanediol is most abundant plasma as well as urinary metabolite of progesterone. In plasma 80 % is bound to albumin and 18 % to corticosteroid binding globulin. Progesterone has short half-life and in liver it is converted to Pregnanediol and conjugated to glucoronic acid and excreted in urine. Ref: Ganong review of Medical physiology 22nd edition Pgno: 443